Which of the following is false regarding β oxidation of palmitic acid
1. 7 cycles of β Oxidation takes place
2. Net ATP generated is 106
3. 7 molecules of acetyl CoA are generated
4. It takes place inside mitochondria.

Correct answer: 3. 7 molecules of acetyl CoA are generated

Explanation: Palmitic acid has 16 carbon atoms and thus it generates 8 molecules of acetyl CoA by undergoing 7 cycles of β Oxidation.